What is the most common loss of sense above 70 years?
1. Proprioception
2. Vibration
3. Touch
4. Pressure

Correct answer: 2. Vibration

Explanation: (B) Vibration > Vibration sense is the most common to be lost in old age.